Pregnancy complication in retroverted uterus can be :
1. Anterior sacculation of uterus
2. Rupture uterus
3. Abortion
4. All of the above

Correct answer: 4. All of the above

Explanation: Ans. is d i.e. All of the above Retroverted gravid ute.4,. Uterus is retroverted during early pregnancy in 15% cases but Spontaneous rectification occurs in majority by the 10th week. In minority cases, spontaneous rectification does not occur. In such cases between 12-16 weeks the developing uterus gradully fills up the pelvic cavity and becomes incarcerated.